Most important measure to prevent hospital infection -
1. Use of antibiotics
2. Use of antiseptics
3. Proper hand washing
4. Formalin fumigation

Correct answer: 3. Proper hand washing

Explanation: Ans. is 'c' i.e.. Proper hand w ashing o There are following types of modes of transmission of hospital-acquired infections :Contact transmissionIt is the most common and most preventable means of transmission. It is divided into two types -Direct contact : It involves contact of body surface to body surface with a physical transfer of microorganisms. Hand contact is most common mode of transmission.Indirect contact: It involves body surface contact with a contaminated intermediate object.o As hand contact is the most common mode of transmission, the best preventive measure of nosocomial infection is proper hand hygiene.